Birth weight of a child doubles at five months of age while the birth length doubles at the age of –
1. 1 year
2. 2 years
3. 3 years
4. 4 years

Correct answer: 4. 4 years